Which statement best describes the blood supply of the stomach?
1. It is derived entirely from the superior mesenteric artery.
2. The gastroepiploic arteries supply the lesser curvature.
3. The right gastric artery is a direct branch of the coeliac axis.
4. The short gastric arteries arise from the splenic artery.

Correct answer: 4. The short gastric arteries arise from the splenic artery.

Explanation: The short gastric arteries are variable in number. Most commonly six are present. They run in the gastrosplenic ligament to supply the lateral surface of the stomach. The blood supply of the stomach is derived from the three branches of the coeliac trunk: Left gastric, Splenic and Common hepatic arteries. The Gastroepiploic vessels run along the greater curvature of the stomach. The right is a branch of the gastroduodenal artery, which arises from the hepatic artery. The left is a branch of the splenic artery. The right gastric artery is a branch of the common hepatic artery.